True about mantoux is -
1. False negative in fulminant diseases
2. If once done, next time it is always positive
3. Results are given in terms of positive & negative
4. Indurations given in terms of length & breadth

Correct answer: 1. False negative in fulminant diseases